Drug commonly causing analgesic nephropathy is :
1. Aspirin
2. Ibuprofen
3. Phenacetin
4. Phenylbutazone

Correct answer: 3. Phenacetin